Most common part of larynx involved in Tuberculosis is
1. Anterior
2. Posterior
3. Middle
4. Anywhere

Correct answer: 2. Posterior

Explanation: Tubercular laryngitisThe disease affects the posterior third of larynx more commonly than anterior partThe parts affected in descending order of frequency are:- i) Interarytenoid fold, ii) Ventricular band, iii) Vocal cords, iv) EpiglottisRef: PL Dhingra, Diseases of Ear, Nose & Throat, 7th edition, pg no. 329 - 330